Thiamine deficiency - causes -
1. Pellagra
2. Beri - Beri
3. Keshan's disease
4. Rickets

Correct answer: 2. Beri - Beri

Explanation: Ans. is 'b' i.e., Beri-Beri [Ref:Ghai 7th/ p.67)Beri-berio Deficiency of thiamine (Vit Bl)o Can be dry (neural involvement)o Wet (cardiac involvent) o AcutePellagrao Niacin (Vit B3) defo Dermatitiso Diarrheao DementiaKeshan diseaseo Cardiomyopathy associated with selenium deficiencyRickets (Nutritional) Rickets there is deficiency of vitamin D.o Earliest is biochemical change (Raised alkaline phosphate).o Serum ca/P may be either normal or low.o Clinical feature skeletal deformity -o Genu varumo Genu valguso Rickety rosaryo Harrison sulcuso Double malleoluso Greenstick fractureo Bone pain/tenderness